High dose of morphine is used without much danger in ?
1. Gall bladder surgery
2. Labour
3. Myocardial infarction
4. Head injury

Correct answer: 3. Myocardial infarction

Explanation: Ans. is 'c' i.e., Myocardial infarction Morphine should be given promptly in myocardial infarction to allay apprehension and reflex sympathetic stimulation. Morphine should be used cautiously in gall bladder and biliary tract dysfunction as it causes spasm of sphincter of oddi and can cause acute rise of intrabiliary pressure. Used during labour, morphine can cause neonatal respiratory distress. Head injury is a contraindication for morphine use.